All are prehepatic causes of cirrhosis except
1. Portal vein thrombosis
2. Splenic vein thrombosis
3. Massive splenomegaly
4. Severe congestive heart failure

Correct answer: 4. Severe congestive heart failure

Explanation: PrehepaticPortal vein thrombosisSplenic vein thrombosisMassive splenomegaly (Banti's syndrome)HepaticPresinusoidal - Schistosomiasis, Congenital hepatic fibrosisSinusoidal - Cirrhosis, Alcoholic hepatitisPostsinusoidal - Hepatic sinusoidal obstruction (venoocclusive syndrome)PosthepaticBudd-Chiari syndromeInferior vena caval websCardiac causes- Restrictive cardiomyopathy, Constrictive pericarditis, Severe congestive heart failureRef: Harrison 19e pg: 2063